Rabies free country is
1. China
2. Australia
3. France
4. Russia

Correct answer: 2. Australia